Chagas disease is the parasitic disease affecting intestine, tell the Vector for the same:
1. Reduvid bug
2. Tse tse fly
3. Sand fly
4. Hard tick

Correct answer: 1. Reduvid bug

Explanation: Ans. is 'a' i.e., Reduvid bug(Ref: Chatterjee, 12th/e, p. 52)* T. cruzi (C shaped parasite) causes Chagas disease and vector is reduvid bug.